Posterior staphyloma is seen in
1. High hypermetropia
2. Astigmatism
3. Emmetropia
4. Degenerative myopia

Correct answer: 4. Degenerative myopia

Explanation: Ans. (d) Degenerative myopiaRef: A.K. Khurana 6th ed. /144* Posterior staphyloma is seen in conditions like pathological myopia, posterior scleritis and perforating injuries.Important Features Associated with Myopia* Simple/developmental myopia is the commonest type of myopia.* Foster fucks flecks is the choroidal haemorrhage in the macular region.* Lacquer cracks are breaks in the bruchs membrane* Retinal detachment is the most serious complication of myopia.